Causative organism of SARS -
1. H1N1
2. Corona virus
3. Rotavirus
4. RSV

Correct answer: 2. Corona virus

Explanation: Severe Acute Respiratory syndrome was caused by coronavirus. REF:ANANTHANARAYAN AND PANIKER'S TEXTBOOK OF MICROBIOLOGY 9TH EDITION PAGE NO-560